A forceps rotation of 30° from left occiput anterior (LOA) to occiput anterior (OA) with extraction of the fetus from +2 station is described as which type of forceps delivery:
1. High forceps
2. Midforceps
3. Low forceps
4. Outlet forceps

Correct answer: 3. Low forceps

Explanation: Presence of fetal head at +2 station indicates low forceps delivery.
High forceps = Head not engaged.
Mid cavity forceps = Head engaged, presenting part above +2 station.
Low forceps = Head at +2 or below it but not yet reached pelvic flow.
Outtet = Head at or on perineum.